Treatment of Choice in Phobic disorder
1. Psychotherapy
2. Benzodiazepines
3. Behaviour Therapy
4. 5-HT reuptake inhibitor

Correct answer: 3. Behaviour Therapy

Explanation: C i.e. Behaviour therapy